Lateral medullary syndrome or Wallenberg syndrome involves all, EXCEPT:
1. 5th cranial nerve
2. 9th cranial nerve
3. 10th cranial nerve
4. 12th cranial nerve

Correct answer: 4. 12th cranial nerve

Explanation: Ipsilateral cranial nerve involvement (spinal tract of Vth cranial nerve and IX, X, XI cranial nerve) is seen in Wallenberg syndrome. Clinical manifestations of involvement of these cranial nerves are, loss of taste from the posterior third of the tongue (nuclei or fibers of CN IX and X) and reduced corneal reflex, from damage to the descending spinal tract and nucleus of CN V. Ref: Clinical Medicine Made Easy By TV. Devarajan, 2008, Page 213 ; Harrison's Internal Medicine 17th ed Chapter 364 ; Cerebrovascular Diseases, Brainstemdisorders by Peter P Urban, Louis R Caplan page 205-207.